The temperature required for cultivating mycobacterium
1. - 2 degrees
2. 0 degrees
3. 27 degrees
4. 37 degrees

Correct answer: 4. 37 degrees